Atomoxetine is a new drug being used in which of the following condition?
1. Bipolar disorder
2. Schizophrenia
3. ADHD
4. OCN

Correct answer: 3. ADHD

Explanation: ADHD Psychostimulant are regarded as first-line pharmacologic treatment for children and adolescents with attention deficit hyperkinetic disorder (ADHD), as the efficacy and safety of these agents have been well established based on clinical trials and extensive naturalistic use. Adverse effects in some patients and abuse potential have led to the search for new treatments.